Vertical transmission is seen in
1. Herpes simplex
2. Leprosy
3. Tetanus
4. Whooping cough

Correct answer: 1. Herpes simplex

Explanation: (Herpes simplex) (91 - Park 19fh) (92-Park 20th)* Transplacental (Vertical transmission - Mother to child* Direct transmission, TORCH agents (Toxoplasma, gondii, rubella, CMV, herpes virus) Varicella virus, syphilis* Hepatitis B, COxsackie B and AIDS* Some of the non - living agents (e.g. - thalidomide, DES) produces malformations of the embryo by disturbing its development